Inhalational anesthetic with highest respiratory irritation is:-
1. Desflurane
2. Nitrous oxide
3. Sevoflurane
4. Halothane

Correct answer: 1. Desflurane

Explanation: Max respiratory irritation:- Desflurane MAC of Nitrous Oxide: >104% Smooth inducing agent, preferred in children : Sevoflurane Halothane:- Sensitize heart to arrythmogenic agent( Eg:- Ardenaline). Therefore contraindicated in pheochromocytoma